Which muscle originates from tibia, fibula and interosseous membrane?
1. Popliteus
2. Flexor digitorum longus
3. Flexor hellus longus
4. Tibialis posterior

Correct answer: 4. Tibialis posterior

Explanation: TIBIALIS POSTERIOR:Origin: upper two-thirds of lateral part of posterior surface of tibia below the soleal line.Posterior surface of fibula in front of medial crest Posterior surface of interosseous membrane.Popliteus: arises from lateral surface of lateral condyle of femur.origin is intracapsular.lateral meniscus of knee joint.Flexor digitorum longus: uppercut two third of medial part of posterior surface of tibia below soleal line.Flexor hallucis longus: posterior surface of fibula and interosseous membrane.{Reference: BDC 6E pg no.106}